Chimeric human / murine monoclonal antibody'are -
1. Adalimumab
2. Rituximab
3. Muromonab
4. Trastuzumab

Correct answer: 2. Rituximab

Explanation: Monoclonal mouse IgG1 antibody against human CD20 Rituximab has been approved by the FDA for the treatment of various lymphoid malignancies, including B-cell non-Hodgkin's lymphoma and B-cell chronic lymphocytic leukaemia also used in treatment of ebola . Ref Harrison20th edition pg 1078